Ullipristal acetate is
1. GnRH agonist
2. Androgen antagonist
3. Selective estrogen receptor modulator
4. Selective progesterone receptor modulator

Correct answer: 4. Selective progesterone receptor modulator

Explanation: Refer Harrinson 19/e p 2391 Ullipristal is a selective progesterone receptor modulator like mifepristone It is used as an emergency contraceptive that can be used within 120 hours of unprotected intercourse